All of the following conditions are known to cause diabetes insipidus except -
1. Multiple sclerosis
2. Head injury
3. Histiocytosis
4. Viral encephalitis

Correct answer: 1. Multiple sclerosis

Explanation: Causes of Central Diabetes insipidus Causes of Nephrogenic Diabetes insipidus ref - Researchgate.net